All true about airway management in obese patient except:-
1. Pre oxygenation is preferred in obese patients
2. Positioning for laryngoscopy is these patients preferred is stacking
3. Awake intubation is mode of choice in morbidily obese patients
4. Patient with history of Obstructive Sleep Apnea are candidates for difficult airway

Correct answer: 3. Awake intubation is mode of choice in morbidily obese patients

Explanation: Airway management in obese Excess fatty tissue tends to make access (intubation, tracheostomy) worse than in lean patients. Proper planning and preparation of airway management is essential: Elevation of the patient's upper body, head and neck. Preoxygenation is mandatory in morbidly obese patients and should be followed by actions to counteract atelectasis formation. Use a rapid sequence induction, an awake intubation or a standard induction with hypnotics should depend on the thorough airway examination and comorbidity and should not be based solely on whether morbid obesity is present or not. Ensure sufficient depth of anaesthesia before initiating manipulation of the airway because inadequate anaesthesia depth predisposes to aspiration if airway management becomes difficult. Intubating laryngeal mask airway is more efficient in the morbidly obese patients than in lean patients and serves as a rescue device for both failed ventilation and failed intubation. In the 24 h following anaesthesia, morbidly obese patients experience frequent oxygen desaturation periods that can be counteracted by continuous positive airway pressure, noninvasive ventilation and physiotherapy.